Which of the following has the highest protein energy ratio?
1. Milk
2. Pulses
3. Potato
4. Fish

Correct answer: 4. Fish

Explanation: Food item Protein energy ratio Fish 80% Milk 20% Pulses 24% Rice 8% Potato 6% Ref: Park 21st edition, page 586.